Increased suicidal tendency is associated with -
1. Increased Noraderenaline
2. Decreased Serotonin
3. Decreased Dopamine
4. Increased GABA

Correct answer: 2. Decreased Serotonin

Explanation: Ans. is 'b' i.e., Decreased Serotonin o Patient with suicide has decreased level of serotonin metabolite (5-HIAA) in urine & plasma. Thus indirectly we can say that suicide is associated wdth decreased levels of serotonin and hence there is a decrease in the level o^ serotonin metabolites.